Treatment of choice for TURP syndrome
1. Normal saline
2. 1.5% NaCl
3. Furosamide
4. Thiazides

Correct answer: 3. Furosamide

Explanation: Furosamide is used to treat the dilutional hyponatremia. If not controlled 3% NaCl is used.